In a patient who underwent post molar evacuation by dilatation and curettage. Which of the following test used to define successful removal of H. Mole :
1. Beta HCG
2. Per speculum
3. Progesterone
4. USG

Correct answer: 1. Beta HCG

Explanation: Ans-A Beta HCGMONITORING* After suction Evacuation: We send weekly serum b-HCG. Till they Become Normal.Avg. time for HCG to Came Back to Normal* After a complete Mole - 9 weeks* After a partial Mole - 7 weeks* After a Molar - 9 weeks* Once HCG is Normal* We send HCG values Monthly x6 months